Which of the following are inactive during normal respiration?
1. Pre-Botzinger complex
2. Dorsal respiratory group of neurons (DRG)
3. Ventral respiratory group of neurons (VRG)
4. Pneumotaxic Centre

Correct answer: 3. Ventral respiratory group of neurons (VRG)

Explanation: Quite expiration is passive, the Ventral respiratory group of neurons is active only during deep breathing Ref: Ganong 25th ed/page 655